Serotonin is also known as?
1. 5-hydroxytryptamine (5-HT)
2. N-methyl phenylamine
3. 3-Methoxytyramine
4. Phenethylamine

Correct answer: 1. 5-hydroxytryptamine (5-HT)

Explanation: Serotonin is synthesized from Tryptophan Formed by hydroxylation & decarboxylation of tryptophan. Synthesis of melatonin(in Pineal gland) and serotonin Serotonin is a mono-amine neurotransmitter. 5-hydroxytryptophan is also known as Oxitriptan. Melatonin is a product of Tryptophan whereas Melanin is a Product of Tyrosine.